Most important HLA for organ transplantation and tissue typing -
1. HLA-A
2. HLA-B
3. HLA-C
4. HLA-D

Correct answer: 4. HLA-D

Explanation: Ans. is 'd' i.e., HLA-D